Which of the following is a suicidal enzyme
1. Cyclooxygenase
2. Lipooxygenase
3. 5-nucleotidase
4. Thrombaxane synthase

Correct answer: 1. Cyclooxygenase

Explanation: Cyclooxygenase is a "Suicide Enzyme""Switching off " of prostaglandin activity is partly achieved by a remarkable property of cyclooxygenase--that of self-catalyzed destruction; that is, it is a "suicide enzyme." Furthermore, the inactivation of prostaglandins by 15-hydroxyprostaglandin dehydrogenase is rapid. Blocking the action of this enzyme with sulfasalazine or indomethacin can prolong the half-life of prostaglandins in the body.Ref: Harper's Biochemistry; 30th edition; Chapter 23; Biosynthesis of Fatty Acids & Eicosanoids